Hepar lobatum is seen in:
1. Congenital syphilis
2. Neurosyphilis
3. Latent syphilis
4. Late Syphilis

Correct answer: 4. Late Syphilis

Explanation: Ans. D i.e. Late syphilis